All are true about cohort studies except -
1. Prospective
2. Useful for rare diseases
3. Necessary for incidence
4. Costly

Correct answer: 2. Useful for rare diseases